Edema over the mastoid is seen in-
1. Bell's Palsy
2. Lateral sinus thrombophlebitis
3. CSOM
4. ASOM

Correct answer: 2. Lateral sinus thrombophlebitis

Explanation: Ans. is 'b' i.e., Lateral sinus thrombophlebitis Signs of lateral sinus thrombosis (sigmoid sinus thrombosis)o Griesinger's sign:- odema over the posterior part of mastoid due to thrombosis of mastoid emissary veinso Papilloedemao Tobey-Ayer testo Crowe-Beck test:- Pressure on jugular vein of healthy side produces engorgement of retinal veins. Pressure on affected side does not produce such changeo Tenderness along jugular vein